REMODELING of Uteroplacental vasculature converts -
1. Low resistance to high resistance.
2. High resistance to low resistance
3. To do nothing with resistance.
4. Varies in different circumstances

Correct answer: 2. High resistance to low resistance

Explanation: Remodeling converts narrow-lumen, muscular spiral arteries into dilated, low-resistance uteroplacental vessels Uteroplacental vasculature development proceeds in two waves or stages. The first wave occurs before 12 weeks post fertilization and consists of invasion and modification of spiral arteries up to the border between the decidua and myometrium. The second wave is between 12 and 16 weeks and involves some invasion of the intramyometrial segments of spiral arteries.